Which is not a PUFA?
1. Linoleic acid
2. Palmitoleic acid
3. Linolenic acid
4. Arachidonic acid

Correct answer: 2. Palmitoleic acid

Explanation: POLYUNSATURATED FATTY ACIDS (PUFA)The important polyunsaturated fatty acids are:Linoleic acid (18 C, 2 double bonds)Linolenic acid (18 C, 3 double bonds)Arachidonic acid (20 C, 4 double bonds)They are present in good quantities in vegetable oils such as sunflower oil (Fig. 7.2, Table 7.4). They are used to esterify cholesterol, whereby the latter can be excreted. So, PUFA, in general, are anti-atherogenicOther PUFAs belonging to very long chain fatty acids (VLCFA) are timnodonic acid (20 C, 5 double bonds); clupanodonic acid (22 C, 5 double bonds) and cervonic acid (22 C, 6 double bonds). They are present in fish oils. They are important for development of the human brain.Ref: DM Vasudevan - Textbook of Biochemistry, 6th edition, page no: 161